"Gate" cells in the heart are:
1. Cells in SA node
2. Cells in AV node
3. Cells in his bundle
4. Cells in Purkinje fibers

Correct answer: 4. Cells in Purkinje fibers

Explanation: Purkinje fibers at the apex, where impulse is passed on from Purkinje fibers to ventricular muscle, are the so-called "gate cells".